Platelet count is decreased in all of the following condition except:
1. H. S. Purpura
2. Idiopathic thrombocytopenic purpura
3. Thrombotic thrombocytopenic purpura
4. Systemic lupus erythematosus

Correct answer: 1. H. S. Purpura

Explanation: Answer is A (H. S. Purpura) The mechanism of ecchymosis or purpura in Henoch Schonlein is vasculitis. There is no thrombocytopenia. All other options are known causes of thrombocytopenia.